The most common cause of euvolemic hyponatremia is which of the following?
1. Hypothyroidism
2. Hypoadrenalism
3. Hyperthyroidism
4. SIADH

Correct answer: 4. SIADH

Explanation: The syndrome of inappropriate antidiuresis is the most common cause of euvolemic hyponatremia. Reference: Harrisons Principles of Internal Medicine, 18th Edition, Page 345